MAC of an anesthetic agent is the measure of its?
1. Potency
2. Speed of induction and recovery
3. Lipid solubility
4. Toxicity

Correct answer: 1. Potency

Explanation: Ans. is 'a' i.e., Potency * Minimum alveolar concentration (MAC) - Measure of potency.* Blood: Gas partition coefficient - Blood solubility of anesthetic agent and determines the speed of induction & recovery.* Oil: Gas partition coefficient - Lipid solubility of anesthetic agent and is related to potency of anesthetic agent.